Diagnostic test for Disseminated Intravascular coagulation is:
1. PT
2. D-Dimer assay
3. APTT
4. BT

Correct answer: 2. D-Dimer assay

Explanation: Ans. B: D-Dimer assay The D dimer immunoassay, which measures cross-linked fibrin derivatives (i.e. those that have been in blood clots), is a more specific FDP (fibrin degradation products) assay